In Cu T-200, the number denotes-
1. Surface area
2. Weight in microgram
3. Weight in miligram
4. Effective half life in week

Correct answer: 1. Surface area